Chemoproxy laxis with tetracycline is ueful in which of the following
1. Cholera
2. Brucellosis
3. Meningitis
4. Leptospirosis

Correct answer: 1. Cholera

Explanation: Cholera-tetracycline or furazolidone for household contacts Conjunctivitis bacterial-erythromycin ophthalmic ointment Diphtheria-erythromycin Influenza-oseltamivir Meningitis,meningococcal-ciprofloxacin and minocyclin Plague-tetracycline for contacts of pneumonic plague(refer pgno:125 park 23rd edition)